A 62-year-old man undergoes excision of a cylindroma of the submandibular gland. He is most likely to have an injury to which of the following?
1. Maxillary branch of the trigeminal nerve
2. Lingual nerve
3. Vagus nerve
4. Floor of the maxilla

Correct answer: 2. Lingual nerve

Explanation: The lingual nerve swings forward deep to the mylohyoid muscle and crosses twice over the submandibular (Wharton's) duct. The mandibular branch of the facial nerve (not listed in the answer choices) may accidentally be injured below the angle of the mandible. Injury to this branch causes serious facial deformity.Branchial cyst